A young patient presenting with massive hematemesis was found to have splenomegaly. In this case the most likely source of bleeding is -
1. Duodenal ulcer
2. Esophageal varices
3. Erosive mucosal disease
4. Gastric ulcer

Correct answer: 2. Esophageal varices